Exploratory laparoscopy was performed on a 34-year-old male, following a successful emergency appendectomy. Which of the following anatomic relationships would be seen clearly, without dissection, when the surgeon exposes the beginning of the jejunum?
1. The second portion of the duodenum is related anteriorly to the hilum of the right kidney.
2. The superior mesenteric artery and vein pass posterior to the third part of the duodenum.
3. The portal vein crosses anterior to the neck of the pancreas.
4. The second part of the duodenum is crossed anteriorly by the attachment of the transverse mesocolon.

Correct answer: 4. The second part of the duodenum is crossed anteriorly by the attachment of the transverse mesocolon.

Explanation: The second part of the duodenum is crossed anteriorly by the transverse mesocolon, a relationship that can be seen when the beginning of the jejunum is exposed by lifting the transverse colon superiorly. The posterior relationships of the second part of the duodenum and the portal vein cannot be seen without some dissection. The third part of the duodenum is not related anteriorly to the hilum of the left kidney.